Bleomycin toxicity affects which organ predominantly?
1. Bone marrow
2. Lungs
3. Liver
4. RBC

Correct answer: 2. Lungs

Explanation: Bleomycin is metabolized by bleomycin hydrolase. This enzyme is deficient in skin and lungs. Therefore, the major adverse effects of bleomycin are: Flagellated pigmentation of skin Pulmonary fibrosis